All are purely Glucogenic amino acids except ?
1. Valine
2. Alanine
3. Tryptophan
4. Methionine

Correct answer: 3. Tryptophan

Explanation: Ans. (c) TryptophanRef - Lippincott's 4/e, / 261.